Nelson syndrome is associated with:
1. BRCA2 mutation
2. Prophylactic craniospinal irradiation
3. Subarachnoid hemorrhage
4. Bilateral adrenalectomy

Correct answer: 4. Bilateral adrenalectomy

Explanation: Nelson syndrome refers to development of ACTH secreting pituitary macroadenoma after therapeutic bilateral adrenalectomy.